Recall bias most commonly associated with which study design
1. Case control
2. Cohort
3. RCT
4. Field trial

Correct answer: 1. Case control

Explanation: Recall bias is caused by differences in the accuracy or completeness of the recollections retrieved by study participants regarding events or experiences from the past. (inaccurate recollection) Recall bias seen in retrospective studies like the case-control study. Ref : Park 23rd edition Pgno : 73